The characteristics of caput succedaneum include all of the following except :
1. Crosses midline
2. Crosses the suture line
3. It does not disappear within 2-3 days
4. It is a diffuse edematous swelling of soft tissues of the scalp

Correct answer: 3. It does not disappear within 2-3 days

Explanation: Caput Succedaneum It is a diffuse swelling of the scalp due to effusion of serum above the periosteum Not limited by suture line. There is obstruction of venous and lymphatic return due to pressure by the cervix. This causes stagnation of fluid and hence, that part of the scalp becomes edematous It is present at the birth and disappears by about 24-36 hours aftr birth. Good prognosis. CEPHALOHEMATOMA: It is the collection of blood in btw the pericranium and the flat bone(sub periosteal) of the skull. Usually unilateral and over a parietal bone. Swelling is limited by the suture lines It is due to rupture of a small emmisary vein from the skull and may be associated with the fracture of skull bone. NEVER present at BIRTH but gradually develops after 12-24hrs. Disappears in 6-8wks due to absorption of blood. Good prognosis. TEXT BOOK OF OBSTETRICS,Sheila Balakrishnan,2nd edition,page no.33 DC DUTTA'S TEXTBOOK OF OBS,9th edition, page no.452